Spectrum of IDD cretin does not include
1. Still births
2. Hyperactivity
3. Deafness
4. Delayed development

Correct answer: 2. Hyperactivity